Charcot's triad include
1. Fever, pain, jaundice
2. Fever, vomiting, jaundice
3. Fever, Jaundice, Abd, distension
4. Fever, chills, jaundice

Correct answer: 1. Fever, pain, jaundice

Explanation: Charcot's triad is a feature of ascending cholangitis secondary to CBD stones.Intermittent symotoms are produced as the stone moves proximally & floats with relieving of obstruction and subsiding of symotoms.The triad includes fever,jaundice and pain(maybe colicky). SRB's manual of surgery,5th edition,page no:651.